Amniotic fluid volume in polyhydramnios is more than :
1. 500ml
2. 1000ml
3. 1500ml
4. 2000ml

Correct answer: 4. 2000ml

Explanation: Anatomically, polyhydromnios is defined as a state where liquor amnii exceeds 2000ml clinically,it is excessive accumulation of liquor amnii causing discomfort to the patient and/or when an imaging help is needed to substantiate the clinical diagnosis of the lie and presentation of the fetus. Sonographically it is amniotic fluid index >24cm and single vertical pocket >8cm Reference: Dutta Textbook of Obstetrics, 7th edition page 211